Direct endothelial injury to the venules, capillaries and arterioles, as a mechanism of increased vascular permeability in inflammatory process is
1. Immediate transient response
2. Immediate sustained response
3. Endothelial cell retraction
4. None of the above

Correct answer: 2. Immediate sustained response